Rural health scheme introduced by?
1. Bhore committee
2. Mukherjee committee
3. Shrivastava committee
4. Mudaliar committee

Correct answer: 3. Shrivastava committee

Explanation: Ans. is 'c' i.e., Shrivastava committee